True about Jvenile Myoclonic Epilepsy
1. DOC is sodium valproate
2. Intellectual disability
3. Seizure can develop
4. Neurological examination abnormal

Correct answer: 1. DOC is sodium valproate

Explanation: Drug of choice of juvenile myoclonic epilepsy is Sodium valproate. Ref : Ghai - 8th edition , pg no : 559 , 560 ( table 18.5)